Schistosomiasis is transmitted by -
1. Cyclops
2. Fish
3. Snail
4. Cattle

Correct answer: 3. Snail